A 34-year-old woman is admitted to the hospital with a large mass at her thyroid gland. Ultrasound examination reveals a benign tumor. Twenty-four hours following a partial thyroidectomy, in which the inferior thyroid artery was also ligated, the patient speaks with a hoarse voice and has difficulty in breathing on exertion. Which of the following nerves was most likely injured during the surgical procedure?
1. Internal branch of superior laryngeal
2. Ansa cervicalis
3. Ansa subclavia
4. Recurrent laryngeal

Correct answer: 4. Recurrent laryngeal

Explanation: The recurrent laryngeal nerve is the most likely nerve damaged during the surgery because it runs in close proximity to the inferior thyroid artery and is easily injured or transected with the artery if extreme care is not exercised during operative procedures. The recurrent laryngeal nerve innervates the majority of the vocal muscles that open and close the rima glottidis, in addition to providing sensory supply to the larynx below the vocal folds. Even relatively mild trauma to the nerve can result in hoarseness. The internal branch of the superior laryngeal nerve is not in close proximity to the inferior thyroid artery and pierces the thyrohyoid membrane to enter the pharynx. The ansa cervicalis lies lateral to the site of surgery and does not innervate any structures that, if paralyzed, would cause hoarseness.